Which organism has a special predilection towards placenta?
1. Neisseria meningitides
2. Haemophilus influenzae
3. Moraxella catarrhalis
4. Brucella

Correct answer: 4. Brucella

Explanation: Brucella has special predilection towards placenta, probably due to the presence in it of erythritol, which has a stimulating effect on brucella in culture Ref: Textbook of microbiology; Ananthanarayan and paniker's; 10th edition; Pg:347